"Egg on side appearance" is seen in -
1. Fallot's tetralogy
2. Transposition ofgreatvessels
3. Ebstein's anomaly
4. Ventricular septal defect

Correct answer: 2. Transposition ofgreatvessels

Explanation: Ans. is 'b' i.e., Transposition of great vessels